22 years old female unable to conceive since 12 months, known case of pelvic inflammatory disease, normal menses, normal vaginal and cervical examination, next line investigation :
1. HSG
2. AMH
3. Hysteroscopy
4. CA 125

Correct answer: 1. HSG

Explanation: Ans. is 'a' i.e., HSGPelvic Inflammatory DiseaseIt is the infection and inflammation of the upper genital tracts, typically involving fallopian tubes, ovaries, and surrounding structures.It can cause tubal damage & can lead to infertility (tubal factor). Hence , in this patient, tubes need to evaluated.Hysterosalpingography (HSG) : cavity of the uterus and fallopian tube patency can be checked: As it does not require anesthesia, it is the first-line investigation for checking tubal patency.